Which of the following malignancy is associated with underlying progression and spreads characteristically in a stepwise fashion and hence staging the disease is an important prognostic factor?
1. Hodgkin's lymphoma
2. Multiple myeloma
3. Mature T cell NHL
4. Mature B cell NHL

Correct answer: 1. Hodgkin's lymphoma